Ramjford index is used on:
1. All permanent teeth
2. Selected six permanent teeth
3. Selected twelve permanent teeth
4. None of the above

Correct answer: 2. Selected six permanent teeth